Pseudoparalysis in an infant is suggestive of
1. Acute Rheumatic fever
2. Vitamin B6 deficiency
3. Vitamin E deficiency
4. Vitamin C deficiency

Correct answer: 4. Vitamin C deficiency

Explanation: In Vitamin C deficiency, bones are tender & the infant is reluctant to move his limbs, which are kept in a frog-like position.This may be mistaken for paralysis(pseudoparalysis).Page 127, Ghai essential pediatrics; 6th edition